Treatment of choice for glue ear is
1. Myringotomy with cold knife
2. Myringotomy with diode laser
3. Myringotomy with ventilation tube insertion
4. Conservative treatment with analgesics & antibiotics

Correct answer: 3. Myringotomy with ventilation tube insertion

Explanation: Ans. is 'c' i.e. Myringotomy with ventilation tube insertion * Treatment of choice for glue ear is - Myringotomy and aspiration of effusion with placement of ventilation tube. Glue ear or Otitis media with effusion (OME) (also k/a serous otitis media, secretory otitis media, Mucoid otitis media) OME is characterized by a non-purulent effusion of the middle ear that may be either mucoid or serous. Symptoms usually involve hearing loss or aural fullness but typically do not involve pain or fever. In children hearing loss is generally mild and is often detected only with an audiogram. The fluid is nearly sterile. The condition is commonly seen in school-going children. It is the leading cause of hearing loss in children. Pathogenesis Two main mechanisms are thought to be responsible. Eustachian tube dysfunction Increased secretory activity of middle ear mucosa Treatment Treatment may be medical or surgical Medical measures are controversial and involve Decongestants Antiallergic measures Antibiotics Middle ear aeration Valsalva manoeuvre politzerisation or eustachian tube catheterization chewing gum Surgical Myringotomy and aspiration of fluid Grommet or ventilation tube insertion Surgical t/t of causative factor - adenoidectomy, tonsillectomy, and/or wash out of maxillary antra.